Which is the cement with adhesive properties?
1. Zinc oxide eugenol
2. Zinc polycarboxylate
3. Silicate
4. Zinc phosphate

Correct answer: 2. Zinc polycarboxylate